Best investigation for Bronchiectasis is?
1. Chest X Ray
2. MRI
3. Pulmonary Function Tests
4. HRCT

Correct answer: 4. HRCT

Explanation: ANSWER: (D) HRCTREF: Harrison's Internal Medicine 17th edition chapter 252Though the chest radiograph is important in the evaluation of suspected bronchiectasis, the findings are often nonspecific. CT, especially with high-resolution images 1.0-1.5 mm thick, provides an excellent view of dilated airways. Consequently, it is now the standard technique for detecting or confirming the diagnosis of bronchiectasis.